Afterhyperpolarization due to
1. Na efflux
2. Na+ influx
3. CI influx
4. K+ efflux

Correct answer: 4. K+ efflux

Explanation: Slow return of the K+ channels to the closed state thus K+ efflux.(Ref: Textbook of physiology AK Jain 5th edition page no.36)